NOT a X-linked dominant condition among the following is
1. Familial hypophosphatemic rickets
2. Rett syndrome
3. Fragile X syndrome
4. Duchenne's muscular dystrophy

Correct answer: 4. Duchenne's muscular dystrophy

Explanation: X - linked dominant disorders are

Familial Hypophosphatemic rickets
Rett syndrome
Fragile X syndrome
Alport syndrome
Charcot Marie Tooth disease.